Diffuse erythema (pin-point petechiae) and white patches in smoker's palate occur due to
1. Complete obstruction to minor salivary gland orifices
2. Keratinization with partially occluded minor salivary glands
3. Diffuse parakeratinization of the palate
4. Excessive orthokeratinization of the palate

Correct answer: 2. Keratinization with partially occluded minor salivary glands